All of the following can occur in a normal neonate for heat regulation except _______
1. Shivering
2. Breakdown of brown fat with noradrenaline secretion
3. Universal flexion like a fetus
4. Cutaneous vasoconstriction

Correct answer: 1. Shivering

Explanation: Neonates donot generate heat by shivering. Heat production in neonates happens by increasing the metabolic rate and oxygen consumption by releasing norepinephrine, which results in non-shivering thermogenesis through beta-oxidation of brown fat. Preterm and small-for-gestational-age (SGA) infants have scanty brown fat stores. Ref: Nelson textbook of pediatrics 21st edition pgno: 872